A boy can grasp a rattle & recently he become able to transfer objects, hand to hand. He can do –
1. Babble
2. Say 'mama' or dada
3. Sit without support
4. Stand with support

Correct answer: 1. Babble

Explanation: A child is able to grasp an object (palmar grasp) at the age of 7 months.
A child can transfer the object form one hand to another by the age of 5-7 months.
So, the age of this child is 7 months.
A 7 months old child can do :-


Holds the objects with crude grasp from palm (palmar grasp)
Pivots
Shows stranger anxiety
Resists if a toy is pulled from his hand
Babbles

About other options

A child produces bisyllable sound (mama, dada) and stands with support by 9 months.
A child sits without support by 8 months.